Which is a form of cold sterilization -
1. Gamma rays
2. Beta rays
3. Infrared rays
4. Autoclave

Correct answer: 1. Gamma rays

Explanation: Ionising radiations:Xray ,Gamma rays Cold sterilisation is a process in which sterilisation is carried out at a low temperature with the help of chemicals,radiations,membranes and all other means excluding higher temperature REF:Ananthanarayan & Panicker's Textbook of Microbiology 9th edition pg no:33